One of the following document is specific about compelling a witness to produce documents?
1. Subpoena
2. Subpoena Ad Testificandum
3. Subpoena Duces Tecum
4. Summons

Correct answer: 3. Subpoena Duces Tecum

Explanation: Subpoena/ summons is a document compelling the attendance of a witness in a court of law, under penalty, on a particular day, time and place for the purpose of giving evidence. Sec. 61-69 CrPC deals with the summons. A subpoena can be of two types: i. Subpoena duces tecum: Person is required to bring certain documents or other evidence to the court (usually the postmortem or the medico-legal report) specified in the subpoena. ii. Subpoena ad testificandum: Requires the individual to testify before the court ref -